Facial vein communicates with the cavernous sinus through
1. Retromolar vein and internal jugular vein
2. External jugular vein and internal jugular vein
3. Internal jugular vein and retromandibular vein
4. Superior ophthalmic vein and pterygoid venous plexus

Correct answer: 4. Superior ophthalmic vein and pterygoid venous plexus